In a patient with senile cataract the macular functions can be tested by all except:
1. Two-light discrimination test
2. Swinging flash light test
3. Maddox rod test
4. Laser interferometry

Correct answer: 2. Swinging flash light test

Explanation: Ans. Swinging flash light test